The maximum occlusal force exerted by a patient, who is edentulous would be?
1. 50 Psi
2. 150 Psi
3. 250 Psi
4. > 300 Psi

Correct answer: 1. 50 Psi